Undifferentiated carcinoma of nasopharynx belongs to which category as per WHO classification
1. Type 1
2. Type 2
3. Type 3
4. Type 4

Correct answer: 3. Type 3

Explanation: NASOPHARYNGEAL CANCER On the basis of histology, as seen on light microscopy, WHO has lately reclassified epithelial growths into three types:- Ref:- Dhingra; pg num:-250